True about inverted papilloma is -
1. It is also known as Schnedrian papilloma
2. Anatomically It has an inverted appearance
3. It may cause basal cell carcinoma
4. It is commonly seen in young girls

Correct answer: 1. It is also known as Schnedrian papilloma

Explanation: Ans. is 'a' i.e., It is also known as Schnedrian papilloma "Inverted papilloma of nose" -o It is also called Schneiderian papilloma, squamous papilloma or papillomatosiso It is a polypoid mass occuring on the lateral nasal wall typically in middle aged men.o The name is derived from its histologic appearance of on inverted proliferative growth patterno The significance of this lesion lies in its association with concurrent (8%) and subsequent (4%) invasive squamous cell carcinoma.